Most common oncogenic RNA virus-
1. Retrovirus
2. Picornavirus
3. Orthomyxovirus
4. Paramyxovirus

Correct answer: 1. Retrovirus